Which is "MOISTURE ACTIVE" adhesive?
1. Cyanoacrylate
2. Methyl methacrylate
3. Bis-GMA
4. All of the above

Correct answer: 1. Cyanoacrylate